In a pregnant women of 28 weeks gestation IUD is earliest demonstrated on X-ray by :
1. Increased flexion
2. Overlapping of cranial bones
3. Spalding's sign
4. Gas in vessels

Correct answer: 4. Gas in vessels

Explanation: Gas in vessels